Which of the following is not an antidepressant ?
1. Amitriptyline
2. Fluoxetine
3. Imipramine
4. Chlorpromazine

Correct answer: 4. Chlorpromazine

Explanation: Ans. is 'd' i.e., Chlorpromazine